Example of syndesmosis joint is:
1. Tibiotalar joint
2. Tibiofibular joint
3. Elbow joint
4. Carpometacarpal joint

Correct answer: 2. Tibiofibular joint

Explanation: Ans. B: Tibiofibular Joint I. Six types of synovial joints are: Hinge Ball-and-socket Pivot Condyloid (angular or ellipsoidal) Plane (gliding) Saddle. - The elbow is an example of a hinge joint. Here, the convex and concave articulating bones allow movement along one plane, similar to a door. -The shoulder and hip are the only ball-and-socket joints in the body. In this type of joint, one bone has a spherical head that articulates with a corresponding concavity. This joint frees the joint to move in many directions. - In a pivot joint, one round-shaped articulating bone fits within a corresponding depression on another bone. This joint allows one bone to rotate against the other. An example is the radioulnar joint (joint of the radius and ulna) in the forearm. - In a condyloid (angular) joint, one bone has an oval articulating head that rests within an oval concavity. This joint permits angular movement of the bones. The metacarpophalangeal joint (junction between the metacarpals and phalanges) of the hand are examples of condyloid joints - Plane joints have two flat bones joined. The sole movement of the bones is short gliding motions. An example of this joint is the intertarsal joint (junction between the tarsal bones) of the feet. Saddle joint bones have convex and concave surfaces similar to a saddle. This joint allows the joint to move in many directions. The carpometacarpal joint of the thumb is an example saddle joint. II. As their name implies, amphiarthrosis joints (slightly movable joints) have limited movement. The two types of amphiarthrosis joints are: Syndesmosis (fibrous) Symphysis (cartilaginous). - A Syndesmosis joint occurs when two bones join by a section of cartilage. The junction between the tibia and fibula is an example. A symphysis joint forms when two bones fuse by a fibrocartilage pad. Typical symphysis joints are between the pubic symphysis (pubic bones in the pelvis), and in the vertebral column between individual vertebrae. Intervertebral discs act as weight-bearing shock absorbers for walking, jumping, and lifting. III. An immovable joint is called a synarthrosis. The two types of this joint are: Sutures Gomphoses. - Sutures are joined by short fibers of dense fibrous connective tissue and are in the skull. - The single example of a gomphosis joint is the teeth sitting within their sockets. IV. An example of a bony fusion joint is the fusion of the three bones forming a coxa (hip bone): the ilium, ischium, and pubis.